Tuberculin test is said to be positive when there is.
1. Induration
2. Erythema
3. Erythema, induration
4. Induration with blistering

Correct answer: 1. Induration

Explanation: - A positive tuberculin test is when an induration of diameter 10 mm more is present. - erythema is not taken into account. - It indicates hypersensitivity to tuberculoprotein, denoting infection with tubercle bacilli or BCG immunisation , recent or past with or without clinical disease. Reference : Anathanarayan & paniker's 9th edition, pg no: 354,355